All of the following are approaches to health education, EXCEPT:
1. Service approach
2. Regulatory approach
3. Health education approach
4. Mass media

Correct answer: 4. Mass media

Explanation: Mass media is a method of health communication. According to Alma-Ata declaration (1978), "Health education is a process aimed at encouraging people to want to be healthy to know how to stay healthy to do what they can individually and collectively to maintain health and seek help when needed". There are 4 well-known approaches to health education: Regulatory approach (Managed prevention) Service approach Health education approach Primary health care approach Ref: Park's Textbook of Preventive and Social Medicine, 19th edition, Page 710-712.